A 26-year-old patient presents with suspected pneumococcal meningitis. CSF culture is sent for antibiotic sensitivity. Which empirical antibiotic should be given until culture sensitivity result come?
1. Penicillin G
2. Ceftriaxone + metronidazole
3. Doxycycline
4. Cefotaxime + vancomycin

Correct answer: 4. Cefotaxime + vancomycin